Most characteristic finding of retinitis pigmentosa:
1. Ring scotoma
2. Peripheral field defect
3. Central scotoma
4. Diplopia

Correct answer: 1. Ring scotoma

Explanation: A i.e. Ring scotoma